Shelf life of blood with CPDA -
1. 2 weeks
2. 3 weeks
3. 5 weeks
4. 8 weeks

Correct answer: 3. 5 weeks

Explanation: Ans. is 'c' i.e., 5 weeks o Once blood is removed from the donor, it starts a sequences of in vitro changes that change its physiological properties. o Ensuring the blood and its products transfusion safe, their storage is a must. o The main aim is to minimize damage to store blood. o Addition of some additive solutions increases the viability of blood, particularly RBCs: Additive Shelf life of RBC Acid-citrate-dextrose (ACD) 21 days Citrate phosphate dextrose (CPD) 21 days Citrate phosphate dextrose-adenine (CPD-A) 35 days Saline-adenine-Glucose-Mannitol (SAG-M) 42 days